Conjugated hyperbilirubinemia
1. Dubin johnson syndrome
2. Criggler naj jar syndrome
3. Breast milk jandice
4. Gilbert syndrome

Correct answer: 1. Dubin johnson syndrome

Explanation: Ans. is 'a' i.e., Dubin johnson syndrome Breast milk jaundice - Decrease bilirubin uptake across hepathocyte membrane. Entero-hepatic recirculation. Leads to indirect hyperbilirubinemia. Crigler naj jar & Gilbert syndrome (deficiency of glucuronyl transferase) <Type I - Complete deficiency Type II - Partial deficiency Decrease conjugation leads to Indirect hyperbilirubinemia. Defect in hepatocyte secretion of conjugated bilirubin. Leads to direct hyperbilirubinemia